ACE inhibitors are contraindicated in
1. Diabetes mellitus
2. Hypertension in age old patient
3. Scleroderma
4. Bilateral renal artery stenosis

Correct answer: 4. Bilateral renal artery stenosis

Explanation: Refer kDT 6/e p 484 Angiotensin-converting enzyme inhibitors (ACEIs) are contraindicated in patients with bilateral renal artery stenosis due to risk of azotemia resulting from preferential efferent arteriolar vasodilation in the renal glomerulus due to inhibition of angiotensin II.